Which of the following is seen retinitis pigmentosa?
1. Arteriolar attenuation
2. Neovascularization
3. Retinal artery thrombosis
4. Papilledema

Correct answer: 1. Arteriolar attenuation

Explanation: Retinitis pigmentosaApoptosis of rodsAR - most common RISK FACTOR- Consanguineous marriagesC/F- Nyctalopia- Ring scotoma +nt- Progress to tubular vision (constriction of visual fields) O/E- TRIAD- Pale waxy disc- Arteriolar attenuation- BONE SPICLUE PIGMENTATION (characteristic) - Gold standard for Dx - ERG- Measures the potential difference ofNeuro sensory layerNORMAL ERG- Negative 'a' -wave- Positive 'b' -wave- Small 'c' -wave (sometimes)- a-wave - measures the potential difference of photoreceptors- b-wave - measures the potential differenceOf Muller's cells (neuroglia) & bipolarCells (neuronal cells) In Retinitis Pigmentosa- ERG becomes FLAT